All are true about renal cell carcinoma, except -
1. Invades Renal Vein
2. Hematuria may occur
3. Arises from proximal convoluted tubule
4. More common in females

Correct answer: 4. More common in females